Platelet aggregation is caused by?
1. Nitrous oxide
2. Thromboxone A2
3. Aspirin
4. PGE2

Correct answer: 2. Thromboxone A2

Explanation: Ans. (b). Thromboxone A2(Ref: Robbins 9th/pg 116-117)Thromboxone A2 (TXA2)It is produced by activated platelets and has prothrombotic propertiesIt is an Arachidonic acid metabolite of COX pathwayFunctions: It is a potent platelet aggregator & vasoconstrictorIts effect is neutralized by prostacyclin (PGI2)